Not a fundamental symptom of schizophrenia:-
1. Autism
2. Automatism
3. Association defect
4. Ambivalence

Correct answer: 2. Automatism

Explanation: Eugen Bleuler's well-known four A's of schizophrenia - These 4 A also known as fundamentals/ primary symptoms of schizophrenia 1. AUTISM - autistic thinking and behavior . it must not be confuse with childhood autism. 2. AMBIVALENCE - Coexistence of two opposing impulses toward the same thing in the same person at the same time. Seen in schizophrenia, borderline states, and obsessive- compulsive disorders (OCDs). 3. AFFECT DISTURBANCES - disturbance of emotions 4.ASSOCIATION DISTURBANCE - is a lack of logical connection between a sequence of thoughts. This lack of logical association is sometimes called knight's-move thinking (referring to the sudden change of direction of the knight in chess)